Chemoattractant is -
1. C5a
2. C1
3. C3
4. C2

Correct answer: 1. C5a

Explanation: - the transmigration of leucocytes after crossing several barriers to reach the interstitial tissue is a chemotactic factor mediated process called chemotaxis. - C5a and C3a are anaphylatoxins and powerful chemoattractant. Reference : Harsh mohan text book of pathology, 7 th edition,Pg no:120